Redleg disease is caused by-
1. Pseudomonas
2. Moudly sugar cane fibre
3. Coniosporium
4. Aeromonas

Correct answer: 4. Aeromonas

Explanation: Red-leg' Syndrome in Amphibians. "Red-leg" syndrome is a widespread infection seen in frogs, toads, and salamanders. It is recognized by the redness on the underside of the amphibian's legs and abdomen, and is generally due to Aeromonas hydrophila, an opportunistic bacterial pathogen